All of the following are true about cardiac muscles, EXCEPT:
1. Abundant mitochondria are present.
2. Has high content of myoglobin
3. 10% energy is provided by anerobic metabolism
4. None of the above

Correct answer: 3. 10% energy is provided by anerobic metabolism

Explanation: Mammalian hearts have an abundant blood supply, numerous mitochondria, and a high content of myoglobin, a muscle pigment that can function as an O2 storage mechanism. Normally, less than 1% of the total energy liberated is provided by anaerobic metabolism. Ref: Ganong's Review of Medical Physiology 23rd edition, Chapter 5.